Lower end of the femur can help to determine the
1. Age
2. Height
3. Weight
4. Stature

Correct answer: 1. Age

Explanation: A i.e. Age Dead born (intrauterine dead) child may show aseptic autolysis/maceration (most common & early feature, seen in fresh > 24 hr ILTD), mummification (late feature seen in late IUD)Q, rigor mortis (d/t antenatal hemorrhage after attaining 7 months age) Q, putrefaction (very rare) and adipocere formation (almost not seen)Q. - Spalding sign (radiological loss of alignment & overriding of skull bones) and Robert's sign (gas in great vessels & heart chamber) are seen in macerated (IUD) fetusQ. - Ossification centre of talus (1deg) at the end of 7 months and ossification centre of lower end of femur at end of 9 months if present indicate age of viability.